All of the following will cause a shift to the right of the oxygen-hemoglobin dissociation curve, EXCEPT
1. Hypoxia
2. 2,3 DPG
3. Increase in pH
4. Increase in temperature

Correct answer: 3. Increase in pH

Explanation: In oxygen dissociation curve (ODC) of Hb, partial pressure of oxygen is plotted on the X-axis and percentage of hemoglobin saturated with oxygen is plotted on the Y-axis. We get a sigmoidal curve for hemoglobin. Shift of oxygen dissociation curve to right refers to the increased unloading of oxygen. Imagine a person doing exercise in a warm room. Raised CO2, temperature, 2,3-DPG and decreased pH causes shift of ODC to right.